The class of low molecular weight calcium binding proteins seen predominantly in developing enamel are:
1. Enamelin
2. Amelogenin
3. Tuftelin
4. Ameloplakin

Correct answer: 2. Amelogenin

Explanation: Amelogenins and enamelins are two major classes of calcium binding proteins. Amelogenins are relatively low-molecular-weight proteins secreted by ameloblasts and are predominant proteins in the developing enamel matrix. They will disappear in enamel maturation period. Enamelins have very high affinity for binding apatite crystals and remain until late stages of enamel maturation of the enamel proteins, 90% are heterogenous group of gene-specific, low molecular weight proteins known as amelogenins.
The remaining 10% of enamel protein consists of enamelin, tufelin and amelin. Enamelin is also known as "sheathelin".